Pulp space infection is known as
1. Felon
2. Paronychia
3. Perionychia
4. Onychonychia

Correct answer: 1. Felon

Explanation: A felon is an abscess between the specialised fibrous septae in the fingertip pulp. It causes intense pain and may lead to terminal phalangeal osteomyelitis. Reference : Bailey & Love, 27th Edition, page no = 503.